A patient of multidrug resistant tuberculosis is on antitubercular drugs. After a few months he develops an inability to distinguish between red and green color. Most likely drug causing these symptoms is :
1. Rifampicin
2. Ethambutol
3. Cycloserine
4. Ethionamide

Correct answer: 2. Ethambutol